Lues maligna is caused by?
1. Borrelia
2. Leptospira
3. Brachyspira
4. Treponema

Correct answer: 4. Treponema

Explanation: Ans. is 'd' i.e.,TreponemaLues maligna represents a rare form secondary syphilis ( caused by treponema pallidum).also known as 'malignant syphilis' or 'ulceronodular syphilis'.